Which of the following is an enrichment medium
1. Blood agar
2. Selenite F Broth
3. Mac Conkey agar
4. Nutrient Broth

Correct answer: 2. Selenite F Broth